Face to pubis delivery occurs in --------- type of pelvis :
1. Android
2. Anthrapoid
3. Gynecoid
4. Platypelloid

Correct answer: 2. Anthrapoid

Explanation: In favorable circumstances, i.e. with an average size baby, good uterine contractions and an adequate pelvis such as an anthropoid or spacious gynecoid--spontaneous delivery may occur as "face to pubis". Reference : D C Dutta Textbook of Obstetrics,7th edition page 368